Cells of the Organ of Corti which are vulnerable to noise induced damage are -
1. Inner hair cells
2. Outer hair cells
3. Deiter's cells
4. Cells of Hensen

Correct answer: 2. Outer hair cells

Explanation: Ans. is 'b' i.e., Outer hair cells Difference between inner and outer hair cells Inner hair cellsOuter hair cellsTotal No.350012,000RowsOne rowThree or four rowsShapeFlask shapedCylindricalNerve supplyPrimarily afferent fibres and very few efferentMainly efferent fibres and very few afferentDevelopmentDevelop earlierDevelop lateFunctionTransmit auditory stimuliModulate function of inner hair cellsVulnerabilityMore resistantEasily damaged bv ototoxic drugs and high intensity noise